23-year-old medical student complaint of feeling "worried." He fears failing his clinical exam because he feels nervous about presenting a case and performing physical examination in front of examiners. He would skip bedside teaching when it would be his turn to present a case in front of his classmates and tutors. He worries about criticism from his classmates and tutor. The most likely diagnosis is?
1. Normal shyness
2. Panic disorder
3. Generalized anxiety disorder
4. Social phobia

Correct answer: 4. Social phobia

Explanation: Clinical picture of fearing presentation in public, avoidance, fear of criticism is suggestive of social phobia. It is also known as social anxiety disorder. In Generalised anxiety disorder there is free flowing anxiety at all time. In panic disorder there are recurrent panic attacks with feeling of impending doom.